Gold standard investigation for uterine cavity evaluation is
1. Ultrasonography
2. Saline sonography
3. Hysterosalpingography
4. Hysteroscopy

Correct answer: 4. Hysteroscopy

Explanation: Hysteroscopy is considered the gold standard for uterine cavity evaluation because it allows for direct visualization. The procedure involves insertion of an endoscope through the cervical canal into the uterine cavity and instillation of distension media to allow for visualization.To optimize visualization of the endometrial cavity and avoid performing the procedure during early pregnancy, hysteroscopy is typically scheduled during the early- to mid follicular phase of the cycle. Disadvantages to the procedure include poor visualization when uterine bleeding is present and the inability to evaluate structures outside the uterine cavity, including those in the myometrium and adnexa. Reference: Novak's Gynecology; 14th edition; Chapter 32; Infertility and Assisted Reproductive Technology